Congenital hypercoagulability state are seen in all of the following except
1. Protein C deficiency
2. Protein S deficiency
3. Anti phospholipid antibody syndrome
4. MTHFR gene mutation

Correct answer: 3. Anti phospholipid antibody syndrome

Explanation: Ref Robbins 8/e p123; 9/e p 123 Antiphospholipid antibodies syndrome causes hypercoagulability: primary Secondary Primary mutation of factor 5 Anti thrombin 3 deficiency Protein C and S deficiency Fibrinolysis defects Secondary Homocysteine Tissue damage MI,DIC Antiphospholipid antibodies syndrome